First external sign of putrefaction is:
1. Marbling of skin
2. Distension of skin
3. Protrusion of tongue
4. Greenish discoloration of abdomen

Correct answer: 4. Greenish discoloration of abdomen

Explanation: Ans. D i.e. Greenish discoloration of abdomen